Gallow's traction is used for fracture -
1. Shaft femur
2. Neck femur
3. Shaft tibia
4. Tibial tuberosity

Correct answer: 1. Shaft femur

Explanation: Gallows traction is used for treatment of fracture shaft femur, in infants and children < 2 yrs of age.